In post burn patient, true is -
1. Hypokalemic alkalosis
2. Hyperkalemic alkalosis
3. Hyperkalemic acidosis
4. Hypokalemic acidosis

Correct answer: 3. Hyperkalemic acidosis

Explanation: Ans. is 'c' i.e., Hyperkalemic Acidosis